False regarding cavernous hemangioma is
1. More infiltrative than capillary hemangioma
2. Undergo spontaneous regression
3. Intravascular thrombosis and dystrophic calcification seen commonly
4. Associated with VHL disease

Correct answer: 2. Undergo spontaneous regression

Explanation: Cavernous hemangiomas are composed of large, dilated vascular channels. Compared with capillary hemangiomas, cavernous hemangiomas are more infiltrative, frequently involve deep structures, and do not spontaneously regress. On histologic examination, the mass is sharply defined but unencapsulated and is composed of large, cavernous blood-filled vascular spaces, separated by connective tissue stroma. Intravascular thrombosis with associated dystrophic calcification is common. They may be locally destructive, so surgical excision may be required in some cases. More often the tumors are of little clinical significance, but they can be cosmetically troublesome and are vulnerable to traumatic ulceration and bleeding. Moreover, cavernous hemangiomas detected by imaging studies may be difficult to distinguish from their malignant counterparts. Brain hemangiomas also are problematic, as they can cause symptoms related to compression of adjacent tissue or rupture.Cavernous hemangiomas constitute one component of von Hippel-Lindau disease , in which vascular lesions are commonly found in the cerebellum, brain stem, retina, pancreas, and liver. (Robbins Basic Pathology,9th edition,pg no.359)